TB bacilli culture can also be done by
1. Tinsdale medium
2. MGIT medium
3. MYPA
4. BCYE

Correct answer: 2. MGIT medium

Explanation: TB bacilli culture can also be done by MGIT medium ( Mycobacterium Growth Indicator Tube) Bacilli grows fast as compare to traditional LJ media (Lowenstein Jensen) Tinsdale media - C. diptherae MYPA - Bacillus cereus BCYE(buffered charcoal yeast extract) - Legionella